The reflex originating from Golgi tendon organ to relax the responding muscle is a
1. Monosynaptic reflex
2. Disynaptic reflex
3. Polysynaptic reflex
4. Reflex centre of which is situated in medulla oblongata

Correct answer: 2. Disynaptic reflex

Explanation: (B) Disynaptic reflex # Golgi tendon organ> The receptor for the inverse stretch reflex is in the Golgi tendon organ.> There are 3-25 muscle fibers per tendon organ.> They are stimulated by both passive stretch and active contraction of the muscle.> The threshold of the Golgi tendon organs is low.